The most common presentation of Wegener's granulomatosis include -
1. Fever
2. Sinusitis
3. Glomerulonephritis
4. Diffuse pulmonary infiltrate

Correct answer: 2. Sinusitis